Sphenoid vomer joint is which type of joint?
1. Schindylesis
2. Gomphoses
3. Syndesmoses
4. Synchondrosis

Correct answer: 1. Schindylesis

Explanation: In fibrous joints the bones are joined by fibrous tissue.these joints are either immovable or permit a slight dgree of movement these can be grouped following three subtypes 1 sutures :these are peculiar to skull and are immovable according to shapre of bony margins the sutures can be Schindylesis;between rostrum of sphenoid and upper border of vomer 2 gomphoses: A joint that binds the teeth to bony sockets (dental alveoli) in the maxillary bone and mandible. 3 syndesmoses :Slightly movable articulations where the contiguous bony surfaces are united by an interosseous ligament, as in the inferior tibiofibular articulation. Description Ref BD CHAURASIA S Handbook of General Anatomy Fourth edition Pg no 61 FIBROUS JOINTS